The following agents are known as leukemogens except
1. Benzene
2. Berylium
3. Ethylene oxide
4. Ionizing radiation

Correct answer: 2. Berylium

Explanation: Leukemogen-a substance capable of inducing leukemia. Causation, induction and development. Berrylium is not a leukemogen. Risk is related to total cumulative dose and does intensity.